Cranial Irradiation" is given for:
1. Small cell cancer
2. Squamous cell cancer
3. Anaplastic cancer
4. Adenocarcinoma

Correct answer: 1. Small cell cancer

Explanation: Small cell cancer